Which of the following is increased in lipoprotein lipase deficiency
1. VLDL
2. LDL
3. HDL
4. Chylomicrons

Correct answer: 4. Chylomicrons

Explanation: Chylomicrons

Lipoprotein lipase deficiency (Type I hyperlipoproteinemia) results in increased level of chylomicrones.